Vogt's striae shown below are seen in:
1. Congenital glaucoma
2. Keratoconus
3. Aphakia
4. Subluxated lens

Correct answer: 2. Keratoconus

Explanation: Ans. (b) Keratoconus.